Definitive diagnosis of sporotrichosis generally depends on:
1. Serology
2. Culture
3. Biopsy
4. KOH preparation from the lesion

Correct answer: 2. Culture

Explanation: Culture